All of the following muscles are composite muscles Except:
1. Pectineus
2. Rectus femoris
3. Adductor magnus
4. Biceps femoris

Correct answer: 2. Rectus femoris

Explanation: BRT i.e., Rectus femorisFlexor digitorion profundus (FDS), Adductor magnus, biceps femoris, pectineus and quadriceps femoris (not rectus fernoris)(2 are all composite muscles. Rectus femoris is only a part of composite of 4 muscles known as quadriceps femoris.